Which of the following conditions are assoiciated with pauci - immune crescenteric glomerulonephritis:
1. Henoch - Schonlein Nephritis
2. Lupus Nephritis (SLE)
3. Microscopic polyangitis
4. Nephritis in Alport's syndrome

Correct answer: 3. Microscopic polyangitis

Explanation: Answer is C (Microscopic polyangitis): Henoch Schonlein Nephritis and Lupus Nephritis are examples of Immune complex mediated crescenteric nephritis (Type II RPGN) Nephritis in Alports syndrome is not associated with crescenteric glomerulonephritis or RPGN Pauci - Immune Crescenteric Glomerulonephritis : Type III RPGN Pauci - Immune crescenteric glomerulonephrits represents those cases of RPGN in which glomerular immunoglobulin deposits, either linear or granular are absent (Immunoflorescence and electron microscopy in these cases charachteristically show absence of Anti GBM antibodies and immune complexes) Most patients with Pauci - immune crescenteric G.N are positive for ANCA (upto 90% of patients), and hence this group is often called ANCA associated RPGN Pauci -- Immune crescenteric Glomerulonephritis includes Idiopathic RPGN Wegener's Granulomatosis Microscopic polyangitis